Which of the following muscle is supplied by deep branch of the ulnar nerve?
1. Adductor pollicis
2. Opponens pollicis
3. Abductor pollicis brevis
4. Flexor digitorum profundus

Correct answer: 1. Adductor pollicis

Explanation: Deep branch of ulnar nerve supplies muscles of hypothenar eminence, medial two lumbricals, 4-1 dorsal interossei, 4-1 palmar interossei and adductor pollicis.Abductor pollicis brevis and opponens pollicis is supplied by recurrent branch of median nerve in hand.Flexor digitorum profundus is supplied by both ulnar nerve( medial half ) and anterior interosseous nerve ( lateral half ) which is a branch of median nerve.B D Chaurasia 7th edition Page no: 182